Forensic entomology is a study of -
1. Time of death
2. Mode of death
3. Manner of death
4. Identification of disease

Correct answer: 1. Time of death

Explanation: Ans. is 'a' i.e., Time of death * Forensic entomology is the use of insects and other arthropods in legal investigations including, but not limited to, cases of medicolegal, stored product, or urban relevance.* Insect evidence in medicolegal cases is often used to assist in entomology -based estimates of the time of colonization that can be related to myiasis and/or a minimum postmortem interval.* In most instances, forensically relevant inferences are made by the collection, identification, and study of anthropods associated with a decomposing body.* Forensic entomology has evolved considerably since the famous case in 13th century China, where the activity of flies associated with a weapon was used to identify a potential suspect.